Xerostomia is seen in all except ?
1. Sjogren syndrome
2. RA
3. Sarcoidosis
4. Midline granuloma

Correct answer: 4. Midline granuloma

Explanation: Ans. is 'd' i.e., Midline granuloma